Central cyanosis is seen if
1. Methemoglobin 0.5 gm/dl
2. O2 saturation < 85%
3. O2 saturation < 94%
4. Hb – 4 gm%

Correct answer: 2. O2 saturation < 85%

Explanation: Oxygen saturation should be less than 85% for central cyanosis to occur. Deoxyhemoglobin level should be at least 5gm%.